Campimetry is used to measure
1. Field of Vision
2. Pattern of retina
3. Malignant melanoma
4. Squint

Correct answer: 1. Field of Vision

Explanation: Normal extent of field of vision for white color is Superior: 60o Nasal: 60o Inferior: 70o Temporal: 100o Field of vision for blue and yellow color is roughly 100 less and that for red and green color is about 200 less than that for white. (smallest is with green color) Red color perimetry is particularly useful in the diagnosis of bitemporal hemianopia with chiasmal compression and of central scotoma of retrobulbar neuritis. Static perimetry is performed with adopted goldmann perimeter. Friedman perimeter and automated perimeter. Campimetry is performed to evaluate the central and paracentral area (300) of the visual field on Bjerrum's screen Bjerrum's Tangent Screen